The following tetracycline has the potential to cause vestibular toxicity:
1. Minocycline
2. Demeclocycline
3. Doxycycline
4. Tetracycline

Correct answer: 1. Minocycline

Explanation: * Tetracycline causing maximum vestibular toxicity : Minocycline * Most phototoxic tetracycline : Demeclocycline * Tetracycline causing diabetes insipidus : Demeclocycline * Tetracycline safe in renal failure :Doxycycline